Botulism is most commonly due to
1. Egg
2. Milk
3. Meat
4. Pulses

Correct answer: 3. Meat

Explanation: Food-borne botulism is caused by the ingestion of the preformed toxin. The source of botulism is usually preserved food - meat and meat products. Reference: Textbook of Microbiology; Anathanarayan and paniker's; 10th edition; Page no: 269